An investigator obtained an increased incidence of a disease due to low fiber diet in a country by obtaining data from the health authorities and food industry of the country. This type of study is known as:
1. Ecological
2. Cross-sectional
3. Psephological study
4. Experimental study

Correct answer: 1. Ecological

Explanation: Ans. a. Ecological